Cranial part of accessory nerve supplies all palatal muscles, except:
1. Palatoglossus
2. Palatopharyngeus
3. Tensor veli palati
4. Tensor veli tympani

Correct answer: 3. Tensor veli palati

Explanation: Tensor veli palati